Placenta develops from:
1. Chorion frondosum and decidua basalis
2. Chorion villi and decidua basalis
3. Chorion frondosum and decidua capsularis
4. Chorion villi and decidua parietalis

Correct answer: 1. Chorion frondosum and decidua basalis

Explanation: Ans. A. Chorion frondosum and decidua basalis1. The human placenta is of chorioallantoic type, consisting of 2 components:a. The chorion, or outer layers of the chorionic cavity, including:i. The syncytiotrophoblastii. The cytotrophoblastiii. The extraembryonic mesodermb. The allantois, containing the umbilical vessels and 3 foetal blood vessels: 2 arteries and 1 vein.2. The foetal trophoblast invades the endometrium, breaks down the endometrial blood vessels into lacunae, and forms villi around them.3. Thus, the placenta is a materno-foetal unit, with:i. The foetal portion formed by the chorion (chorionic plate)ii. The maternal portion formed by the decidua basalis (basal plate).4. The foeto-maternal interface consists of these opposed layers:i. The chorion frondosumii. Fibriniii. The decidua basalis